Delphian lymph nodes act as sentinal lymph nodes in:
1. Nasopharyngeal carcinoma
2. Laryngeal cancer
3. Parotid cancer
4. All of the above

Correct answer: 2. Laryngeal cancer

Explanation: Delphian lymph nodes are pretracheal / paratracheal lymph nodes which are sentiner lymph nodes in laryngeal cancer & thyroid cancer.